The visual pathway consists of all of these except:
1. Optic tract
2. Geniculocalcarine tract
3. Inferior colliculus
4. Lateral geniculate body

Correct answer: 3. Inferior colliculus

Explanation: C i.e. Inferior colliculus